The phenomenon of suspended animation may be seen in :
1. Throttling
2. Drowning
3. Strangulation
4. Brain hemorrhage

Correct answer: 2. Drowning

Explanation: B i.e. Drowning